Prophylactic antibiotics are most effective during
1. Decisive period
2. Infection period
3. Latent period
4. Golden period

Correct answer: 1. Decisive period

Explanation: In the first 4 hours, after a breach in an epithelial surface and underlying connective tissues, there is delay in the mobilisation of host defences. This period is called 'decisive period' and during this period, bacterial colonisation and established infection can begin. It is logical that prophylactic antibiotics will be most effective during this time.